Preferred incision for abdominal exploration in Blunt injury abdomen is
1. A.Always Midline incision
2. B.Depending upon the organ
3. C.Transverse incision
4. D.Paramedian

Correct answer: 1. A.Always Midline incision

Explanation: Adults Upper midline incision extending down across the left of the umbilicus is the preferred incision. But can be extended into the thorax or do horizontal T or extended as needed depending on internal organ injury Paediatric abdomen:- The abdomen is wider with the bladder intra abdominal. Transverse supraumbilical incisions are preferred to vertical midline Scars may migrate during growth. Ref.Bailey $ Love;24th edition